In OCD treatment is based on -
1. Serotonergic receptor
2. Dopaminergic receptor
3. NA receptor
4. Glutamate receptor

Correct answer: 1. Serotonergic receptor